Most common association with Acanthosis nigricans -
1. Hypertension
2. DM
3. Obesity
4. Hypothyroidism

Correct answer: 3. Obesity

Explanation: Acanthiosis nigraicans is a skin disorder characterised by hyperpigmentation and thickening of skin occuring mainly in axilla,groin and neck. it is classified into heriditary,benign, pseudo acanthosis nigricans, drug induced, malignant types. of these pseudoacanthosis is the most common type occurs in obese patients. benign acanthosis is associated with various enocrine disorders. among the endocrine disorders diabetes is the most common. drug induced acanthosis is seen with corticosteroids,OC pills,nicotinic acid, protease inhibitors malignant acanthosis is often associated with adenocarcinoma of stomach. Acanthosis associated with obesity: Obesity-associated acanthosis nigricans, once labeled pseudo-acanthosis nigricans, is the most common type of acanthosis nigricans. Lesions may appear at any age but are more common in adulthood. The dermatosis is weight dependent, and lesions may completely regress with weight reduction. Insulin resistance is often present in these patients; however, it is not universal. Obesity-associated acanthosis nigricans may be a marker for higher insulin needs in obese women with gestational diabetes. Acanthosis nigricans has been shown to be a reliable early marker for metabolic syndrome in pediatric patients Ref Harrison 20th edition pg 1223